Minimum alveolar concentration is an indicator of
1. Efficacy of anaesthetic
2. Potency of anaesthetic
3. Rate of onset of action
4. None

Correct answer: 2. Potency of anaesthetic

Explanation: MAC indicates potency of inhalational anaesthetic agent.